One has to be careful about hypoglycaemia when patient gives history of taking this drug:
1. Chlorpropamide (Daonil)
2. Furosemide (Lasix)
3. Corticosteroids (Wysolone)
4. Theophylline (Deriphylline)

Correct answer: 1. Chlorpropamide (Daonil)

Explanation: Chlorpropamide: It is a long-acting sulfonylurea oral hypoglycaemic, found to reduce urine volume in DI of pituitary origin, but not in renal DI. It sensitizes the kidney to ADH action. 
DI = Diabetes Insipidus.
Due to its long duration of action, one has to be careful about hypoglycaemia, when patient gives history of taking this drug.
Reference: Essentials of Medical Pharmacology Eighth Edition KD  TRIPATHI  page no 644